A pronounced developmental groove is usually present on the mesial marginal ridge of a permanent:
1. Mandibular third molar
2. Mandibular second premolar
3. Maxillary second molar
4. Maxillary first premolar

Correct answer: 4. Maxillary first premolar